Beta blockers are indicated for all of the following conditions except
1. Hypothyroidism
2. Alcohol withdrawal
3. Portal hypertension
4. Performance anxiety

Correct answer: 1. Hypothyroidism

Explanation: Ans. (A) Hypothyroidism(Ref: KDT 8th/e p164-165)Beta blockers are used to treat hyperthyroidism (not hypothyroidism).These are the only drugs that offer prophylactic benefits in a patient of varices who has never bled.